An example of a sodium channel disorder among the following is:
1. Paramyotonia Congenita
2. Andersen-Tawil Syndrome
3. Thomsen's disease
4. Becker's disease

Correct answer: 1. Paramyotonia Congenita

Explanation: Potassium Channel Disorders: Andersen-Tawil Syndrome Sodium Channel Disorders of Muscle: Hyperkalemic Periodic Paralysis, Paramyotonia Congenita Chloride Channel Disorders: Thomsen's disease and Becker's disease Ref: Harrisons Principles of Internal Medicine, 18th Edition, Page 3506